Nevirapine belongs to the following group:
1. Non Nucleoside Reverse Transcriptase Inhibitor (NNRTI)
2. Protease inhibitor
3. Fusion inhibitor
4. Nucleoside Reverse Transcriptase inhibitor (NRTI)

Correct answer: 1. Non Nucleoside Reverse Transcriptase Inhibitor (NNRTI)

Explanation: Nevirapine is a Non Nucleoside Reverse Transcriptase Inhibitor. Ref: K D Tripathi Textbook of Pharmacology, 5th Edition, Pages 725-31